Testicular tumour most sensitive to radiation is-
1. Teratoma
2. Lymphoma
3. Mixed germ cell tumor
4. Seminoma

Correct answer: 4. Seminoma